In managing a seven year old child, the dentist should
keep in mind that a child at this age is
1. Frequently negative
2. Susceptible to Praise
3. Generally uncooperative
4. Prone to sensation anxiety

Correct answer: 2. Susceptible to Praise